In acute inflammation, Late-appearing sunburn is an example of
1. Delayed transient increase in permeability
2. Early transient increase in permeability
3. Delayed prolonged increase in permeability
4. Early permanent increase in permeability

Correct answer: 3. Delayed prolonged increase in permeability

Explanation: In Acute inflammation:Contraction of endothelial cells resulting in increased inter-endothelial spaces is the most common mechanism of vascular leakage. It is elicited by histamine,bradykinin, leukotrienes, and other chemical mediators. It is called the immediate transient response because it occurs rapidly after exposure to the mediator and is usually short-lived (15 to 30 minutes). In some forms of mild injury (e.g., after burns, irradiation or ultraviolet radiation and exposure to certain bacterial toxins), vascular leakage begins after a delay of 2 to 12 hours and lasts for several hours or even days; this delayed prolongedleakage may be caused by contraction of endothelial cells or mild endothelial damage. Late-appearing sunburn is a good example of this type of leakage.Reference: Robbins and Cotran Pathologic Basis of Disease; 9th edition; Chapter 3; Acute Inflammation